The test which detects ONLY P. falciparum amongst the following is -
1. LDH
2. HRP-2
3. Thick blood film
4. QBC

Correct answer: 2. HRP-2

Explanation: Complicated P. falciparum malaria Severe malaria should be considered in any non-immune patient with a parasite count greater than 2% or with complications, and is a medical emergency (see Box 11.54). Management includes early and appropriate antimalarial chemotherapy, active treatment of complications, correction of fluid, electrolyte and acid-base balance, and avoidance of harmful ancillary treatments. The treatment of choice is intravenous artesunate. Late haemolysis is a treatment side-effect in some patients. Rectal administration of artesunate is also being developed to allow administration in remote rural areas. Quinine salt is the alternative. Exchange transfusion has not been tested in randomisedcontrolled trials but may be beneficial for non-immune patients with persisting high parasitaemias (>10% circulating erythrocytes). Rapid diagnostic tests (RDTs) are a critical tool for malaria diagnosis in most endemic areas. The most common RDT target for the detection of Plasmodium falciparum is the antigen histidine-rich protein 2 (HRP2). Indeed, parasites( specific for plasmodium falciparum) can delete the genes encoding these proteins and continue to transmit in communities. Ref Harrison20th edition pg 1034